Paranoid pseudocommunity was given by
1. Norman camerron
2. ku schneider
3. Benedict morel
4. Eugene Bleuler

Correct answer: 1. Norman camerron

Explanation: o Norman Cameron====== paranoid pseudocommunity SS Patient incorporates all the people who are against her thoughts as working together and are against her SS Community which is false(pseudo) and that is against(paranoid) the patient ref.Kaplon and Sadock, synopsis of psychiatry, pg no 335